Sensations carried by lateral spinothalamic tract-
1. Crude touch
2. Fine touch
3. Pain & temperature
4. Proprioception

Correct answer: 3. Pain & temperature

Explanation: Ans. is 'c' i.e., Pain & temperature Sensation carriedPosterior column (Dorsal column)o Proprioception (Position of body or limb, position of joint)o Fine touch (two point discrimination, topognosis, stereognosis)o Vibrationo KinesthesiaAnterolateral systemo Anterior spinothalamic tracto Lateral spinothalamic tract- Crude touch- Pain, Temperature